Which of the following is not associated with Adult Polycystic Kidney Disease -
1. Autosomal dominant inheritance
2. Mutations involving gene affecting cell-cell-matrix interaction
3. Intracranial berry aneurysm may be present
4. Tricuspid valve prolapse

Correct answer: 4. Tricuspid valve prolapse